Cell wall deficient organism is?
1. Chlamdia
2. Mycoplasma
3. Streptococcus
4. Anaerobes

Correct answer: 2. Mycoplasma

Explanation: Mycoplasma are a group of bacteria that are devoid of cell wall and so are highly pleomorphic with no shape or size. They lack cell wall precursors like muramic acid or diaminopimelic acid. The cells are bounded by a soft trilaminar unit membrane containg sterols Ref :Ananthanarayan & paniker's Textbook of microbiology 9th edition pg no 386